Most common cause of Acute paronychia is
1. Staphylococcus
2. Pseudomonas
3. Candida
4. Trichophyton

Correct answer: 1. Staphylococcus

Explanation: Most common cause of Acute paronychia: Staphylococcus
Most common cause of Chronic paronychia: candida.